Gross fertility rate is -
1. Number of children a women has during reproductive period
2. Number of female children a woman has during reproductive period
3. Number of male children a woman has during reproductive period
4. Total number of live birth per 1000 women 15-44 years age

Correct answer: 4. Total number of live birth per 1000 women 15-44 years age

Explanation: Ans. is D Total number of live birth per 1000 women 15-44 years age Gross Fertility rate (GFR): o This is the number of live births to women aged 15 to 44 years or 15 to 49 years per 1,000 women in a year. Gross reproduction rate (GRR) : o Average number of girls that would be bom to a married woman if she experiences the current fertility pattern throughout her reproductive span (15-44 or 49 year) assuming no mortality.